Daily dose of albendazole in neurocysticercosis in children is?
1. 1-3 mg per kg
2. 4 to 8 mg per kg
3. 15 mg per kg
4. 25 mg per kg

Correct answer: 3. 15 mg per kg

Explanation: Ans. (c) 15 mg per kgRef Goodman Gillman 11/e, p 699, 1819, Harrison's 17/, Chapter 213, KDT 6/e, p 810, Nelson textbook of pediatrics, 18/e, chapter 300